It is normal response to orthodontic treatment for periodontal space to
1. Widen
2. Narrow
3. Shorten
4. Elongate

Correct answer: 1. Widen